Acinar cells of the Exocrine Pancreas secrete
1. Glucagon
2. Lysozyme
3. Insulin.
4. Proteases

Correct answer: 4. Proteases

Explanation: Several Proteases are synthesized by Pancreatic Acinar Cells and are delivered the Pancreatic Duct to the Duodenum